A child has retained disc battery in the nose.What is the most important consideration in the management?
1. Battery substance leaks and cause tissue damage
2. It can lead to tetanus
3. Refer the child to a specialist for removal of battery
4. Instill nasal drops

Correct answer: 1. Battery substance leaks and cause tissue damage

Explanation: Most important consideration in thr management of retained disc battery in the nose of a child is the leakage of battery substance leading to tissue damage. Ref Dhingra 6/e,p 161.